A most favorable sequence of eruption for the permanent dentition is which of the following
(right side)? (Eruption sequence given by numbers in parentheses.)
1. (1) 3, 30; (2) 8, 25; (3) 7, 26; (4) 27, 5; (5) 28, 4;(6) 29, 6; (7) 31, 2.
2. (1) 3, 30; (2) 8, 25; (3) 26, 7; (4) 27, 6; (5) 28, 5;(6) 29, 4; (7) 31, 2.
3. (1) 30, 3; (2) 25, 8; (3) 26, 7; (4) 27, 5; (5) 28, 4;(6) 29, 6; (7) 31, 2.
4. (1) 30, 3; (2) 25, 8; (3) 26, 7; (4) 27, 6; (5) 28, 5;(6) 29, 4; (7) 2, 31.

Correct answer: 3. (1) 30, 3; (2) 25, 8; (3) 26, 7; (4) 27, 5; (5) 28, 4;(6) 29, 6; (7) 31, 2.

Explanation: The  most  favorable  sequence  for  prevention  of malocclusion is given in option C.